Allergy to penicillin group of drugs is classified as
1. Type 1 reaction
2. Type 2 reaction
3. Type 3 reaction
4. Type 4 reaction

Correct answer: 1. Type 1 reaction